Which of the following is not associated with temporal lobe:
1. Audition
2. Memory
3. Spatial relationship
4. Behaviour

Correct answer: 3. Spatial relationship

Explanation: Ans. C: Spatial relationshipInferior parietal lobule (parietal lobe) helps in spatial recognition (tactile localization, tactile discrimination etc.)Spatial relationshipRecognition of spatial relationship is a function of angular gyrus (inferior parietal lobule)Temporal lobeIt is located beneath the Sylvian fissure on both cerebral hemispheres.The temporal lobe is involved in auditory perception and is home to the primary auditory cortex.It is also important for the processing of semantics in both speech and vision.The temporal lobe contains the hippocampus and plays a key role in the formation of long-term memory.The superior temporal gyrus includes an area (within the Sylvian fissure) where auditory signals from the cochlea (relayed several subcortical nuclei) first reach the cerebral cortex.This part of the cortex (primary auditory cortex) is involved in hearing.Adjacent areas in the superior, posterior and lateral parts of the temporal lobes are involved in high-level auditory processing.This includes speech, for which the left temporal lobe in particular seems to be specialized.Wernicke's area, which spans the region between temporal and parietal lobes, plays a key role (in tandem with Broca's area, which is in the frontal lobe).The functions of the left temporal lobe are not limited to low-level perception but extend to comprehension, naming, verbal memory and other language functions.The underside (ventral) part of the temporal cortices appear to be involved in high-level visual processing of complex stimuli such as faces (fusiform gyrus) and scenes (parahippocampal gyrus).Anterior parts of this ventral stream for visual processing are involved in object perception and recognition.The medial temporal lobes are involved in episodic/declarative memory.Deep inside the medial temporal lobes lie the hippocampi, which are essential for memory function - particularly the transference from short to long term memory and control of spatial memory and behavior.Damage to this area typically results in anterograde amnesia.